All of the following are true about Rhabdomyolysis, Except:
1. Hyperuricemia
2. Hyperphosphatemia
3. Hypercalcemia
4. | Creatine kinase

Correct answer: 3. Hypercalcemia

Explanation: Answer is C (Hypercalcemia): Rhabdomyolysis is associated with hypocaketnia and not hypereakemia Hyperphosphatemia promotes the deposition of calcium phosphate in injured muscle thereby contributing to hypocalcemia.